"Blow out " fracture of orbit involve -a) Floorb) Medial wallc) Lateral walld) Roofe) Apex
1. ac
2. a
3. ad
4. ab

Correct answer: 4. ab

Explanation: Blow out fracture involves :- i) Posterio-medial part of floor (most commonly), ii) Medial wall.